Concurrent list includes ?
1. Census collection
2. International health relations
3. Vital statistics
4. Immigration

Correct answer: 3. Vital statistics

Explanation: Ans. is 'c' i.e., Vital statistics